Confirmation of the diagnosis of vesicular mole is by :
1. Vaginal examination
2. X-rays
3. Abdominal examination
4. Ultrasonogram

Correct answer: 4. Ultrasonogram

Explanation: Ultrasonogram